Lateral medullary syndrome is due to the occlusion of which of the following vessels?
1. Posterior superior cerebellar artery
2. Anterior inferior cerebellar artery
3. Basilar artery
4. Vertebral artery

Correct answer: 4. Vertebral artery

Explanation: Lateral medullary syndrome is otherwise known as Wallenberg's syndrome or PICA syndrome or vertebral artery syndrome. Occlusive disease of the intracranial segment of the vertebral artery is a much more frequent cause of the lateral medullary syndrome. Signs and symptoms include: Ipsilateral side Horner's syndrome Decrease in pain and temperature sensation on ipsilateral side of face Cerebellar signs (ataxia) Contralateral side: Decreased pain and temperature on contralateral body Dysphagia, dysarthria, hoarseness, paralysis of vocal cord Vertigo, nausea, vomiting, hiccups Nystagmus, diplopia No facial or extremity muscle weakness seen in this syndrome REF: Harrison book of internal medicine 21ST EDITION